Which one of the following is not used as a tumor marker in testicular tumors
1. AFP
2. LDH
3. hCG
4. CEA

Correct answer: 4. CEA

Explanation: Refer Robbins page no 979 viable 21-5 Pathologic Classification of Common Testicular Tumors Germ Cell Tumors Seminomatous tumors Seminoma Spermatocytic seminoma Nonseminomatous tumors Embryonal carcinoma Yolk sac (endodermal sinus) tumor Choriocarcinoma Teratoma Sex Cord-Stromal Tumors Leydig cell tumor Sertoli cell tumor